Which of the following Vitamin deficiency is seen in short bowel syndrome with ileal resection ?
1. Vitamin K
2. Vitamin B 12
3. Vitamin B1
4. Folic acid

Correct answer: 2. Vitamin B 12

Explanation: Short-bowel syndrome is a disorder clinically defined by malabsorption, diarrhea, steatorrhea, fluid and electrolyte disturbances, and malnutrition. Changes seen in Terminal Ileal Resection Malabsorption of bile salts and vitamin B12 (which are normally absorbed in this region) Vitamin B12 Malabsorption - Megaloblastic anemia Bile salts Malabsorption - Unabsorbed bile salts escape into the colon and stimulate fluid secretion from the colon - watery diarrhea Decreased bile salts in the bile - Cholesterol gall stones Ref: Sabiston 20th Ed. ; Schwartz 11th Ed.